RGD motifs are
1. Fibroblasts
2. Bone Sialoproteins & Osteopontin
3. Cementoblasts
4. Noncementum proteins

Correct answer: 2. Bone Sialoproteins & Osteopontin